Which is a lipotropic factor?
1. HDL
2. Insulin
3. Choline
4. Carnitine

Correct answer: 3. Choline

Explanation: Agents such as choline, methionine, Betaine, inositol, etc. which have the apparent effect of facilitating the removal of fat from liver, and thus prevents accumulation of fat in Liver cells. Such substances which prevent accumulation of fat in liver are said to be 'Lipotropic' ('Lipotropic agents' or 'Lipotropins'). The phenomenon itself is called "Lipotropism". Antagonistic agents and the converse condition are "anti-lipotropic" and "anti- lipotropism" respectively.Ref: Textbook of Medical Biochemistry, Eighth Edition Dr (Brig) MN Chatterjea, page no: 458